X-ray findings in chronic otitis media ?
1. Honeycombing of mastoid
2. Sclerosis with cavity in mastoid
3. Clear-cut distinct bony partition between cells
4. None of the above

Correct answer: 2. Sclerosis with cavity in mastoid

Explanation: Ans. is 'b' i.e., Sclerosis with cavity in mastoid